QRS complex is due to:
1. Ventricular repolarization
2. Atrial depolarization
3. Conduction through AV node
4. Ventricular depolarization

Correct answer: 4. Ventricular depolarization

Explanation: Ans. D: Ventricular depolarizationQRS complex is due to ventricular depolarization and atrial repolarization. Normal duration is 0.08 sec.